The most common manifestation of moderate /severe Hemophilia A is:
1. Recurrent Hemarthrosis
2. Recurrent muscle bleeding
3. Recurrent bleeding from gums
4. Recurrent Hematuria

Correct answer: 1. Recurrent Hemarthrosis

Explanation: Answer is A (Recurrent Hemarthrosis): Recurrent Hemarthrosis is the most common manifestation of Hemophilia A. 'Recurrent Hemarthrosis is the most common manifestation of Hemophilia-A occurring in up to two third of patients' --Primer on the Rheumatic Diseases 'In the severe form the most common bleeding manifestations are the recurrent hemarthroses'